Prevention or treatment of osteoporosis in post- menopausal women may be acheived by all EXCEPT
1. Estrogen and progesterne hormone replacement therapy
2. Calcium and vitamin D supplementation
3. Bisphosphonates
4. Multivitamins

Correct answer: 4. Multivitamins

Explanation: Multivitamins do not play any role in treatment of osteoporosis. Vitamin D is the essential vitamin. (REF.Essential of medical pharmacology K D TRIPATHI 6 Edition, Page No - 330)